Which part of the instrument should remain parallel
(whenever possible) to the long axis of the tooth?
1. Blade
2. Cutting edge
3. Handle
4. Shank

Correct answer: 4. Shank